The commonest cause of Renal papillary necrosis -
1. Analgesic nephropathy
2. Pyelonephritis
3. Diabetes
4. Sick cell anemia

Correct answer: 3. Diabetes

Explanation: Ans- C Most common cause is DM. Renal papillary necrosis is almost always a/w with pyelonephritis(Pyelonephritis is caused by DM, Analgesic, SCA) So MCC is DM&MC association is Analgesic Nephropathy.